Massage and the application of liniments to painful areas in the body relieves pain due to
1. Stimulation of endogenous analgesic system
2. Release of endorphins by the first order neurons in the brain stem
3. Release of glutamate and substance P in the spinal cord
4. Inhibition by large myelinated afferent fibres

Correct answer: 4. Inhibition by large myelinated afferent fibres

Explanation: Massage and liniments application causes a tactile stimulus which is transmitted by Aβ fibers which are large myelinated fibers. This causes stimulation of enkephalinergic inhibitory interneurons through the collaterals, thus inhibiting the pain sensation through the spinothalamic tract.